Which interleukin is called multi - CSF
1. IL - 1
2. IL - 2
3. IL - 3
4. IL - 6

Correct answer: 3. IL - 3

Explanation: IL - 3 acts as multi - CSF.